Elevated levels of serum glutamic oxaloacetic transaminase is indicative of:
1. Deficiency of glutamic acid
2. Deficiency of oxaloacetic acid
3. Liver disease
4. All of the above

Correct answer: 3. Liver disease